A newborn has dribbling after feeds. She presents with respiratory distress and frothing from the mouth. What is the likely diagnosis:
1. Parotid hyperplasia
2. Tetralogy of fallot
3. Respiratory distress syndrome
4. Tracheoesophageal fistula

Correct answer: 4. Tracheoesophageal fistula

Explanation: Feeding is often associated with coughing, drooling, choking and cyanosis in a neonate with Tracheoesophageal fistula. The excessive salivation is due to the associated oesophageal atresia. The earliest clinical symptom is polyhydramnion, which indicates oesophageal atresia. Ref: Kliegman, Behrman, Jenson, Stanton (2008), Chapter 316, "Congenital Anomalies: Esophageal Atresia and Tracheoesophageal Fistula", In the book, "NELSON TEXTBOOK OF PEDIATRICS", Volume 2, 18th Edition, New Delhi, Pages 1543-44 ; Bailey and Love's Short Practice of Surgery, 24th Edition, Page 994